Van Nuys grading is used for
1. LCIS
2. DCIS
3. Medullary carcinoma breast
4. Inflammatory breast cancer

Correct answer: 2. DCIS

Explanation: Van Nuy's prognostic index score(VNPI) is used for Ductal Carcinoma In Situ. For calculating VNPI score we consider Size in mm, Clearance margin in mm, Grade and necrosis, Age in years and each has score according to a definite criteria. All the scores are added together. 1)If points are 4-6 = % of local recurrence is 1%, 5 year survival is 97-99%, Risk is low 2) if points are 7-9, then % of local recurrence is 20%, 5 year survival is 73-84%, Risk is intermediate 3) if the points are 10-12, then % of local recurrence is 50%, 5 year survival is 34-51%, and Risk is High. Reference : SRB's Manual of Surgery, 6th Edition, page no = 524.